Antropo-Zoonoses are all except-
1. Giinea worm infestation
2. Rabies
3. Plague
4. Hydatid cyst

Correct answer: 1. Giinea worm infestation

Explanation: Guinea worm disease or dracunculiasis is a vector borne parasitic disease,mainly of the subcutaneous tissue (usually leg and foot) caused by the nematode parasite,Dracunculus medinensis. Park's textbook of preventive and social medicine,K.Park,23rd edition,page no:245.